Ther term "Milieu interior" was given by
1. Knut Schmidt-Nielsen
2. George Baholomew
3. Claude Bernard
4. Walter Cannon

Correct answer: 3. Claude Bernard

Explanation: The internal environment in which the body cells survive is called milieu interieur coined by the French physiologist Claude Bernard. (Ref: Textbook of physiology N Geetha 2nd edition page no.62)